Early reversible shock is characterised by
1. Decreased BP
2. Decreased heart rate
3. Oliguria
4. Cold clammy extremities and increased peripheral resistance

Correct answer: 4. Cold clammy extremities and increased peripheral resistance

Explanation: The presentation of shock is variable with some people having only minimal symptoms such as confusion and weakness. While the general signs for all types of shock are low blood pressure, decreased urine output, and confusion, these may not always be present.While a fast heart rate is common, those on b-blockers, those who are athletic, and in 30% of cases of those with shock due to intra abdominal bleeding may have a normal or slow heart rate.Specific subtypes of shock may have additional symptoms. Dry mucous membrane, reduced skin turgor, prolonged capillary refill time, weak peripheral pulses and cold extremities can be early signs Ref Davidson 23rd edition pg 355